Dose of levonorgestrol for contraception is
1. 0.75 mg single dose
2. 1.5 mg single dose
3. 1.5 mg double dose
4. 7.5 mg single dose

Correct answer: 2. 1.5 mg single dose

Explanation: Levonorgestrol should be given as 0.75 mg 2 doses 12 hours apart or 1.5 mg single dose within 72 hours of unprotected sexual intercourse.